A 75-year-old woman is admitted to the hospital with anginal pain. ECG reveals myocardial infarction and a right bundle branch block. During physical examination the patient has a loud second heart sound. Which of the following heart valves are responsible for the production of the second heart sound?
1. Aortic and pulmonary
2. Aortic and tricuspid
3. Tricuspid and mitral
4. Mitral and pulmonary

Correct answer: 1. Aortic and pulmonary

Explanation: The second heart sound is caused by the closure of the aortic and pulmonary valves. The first sound by the heart is caused by the closure of the tricuspid and mitral valves.